The concentration of sodium ion is least in the -
1. Small intestinal juice
2. Bile
3. Gastric juice
4. Pancreatic juice

Correct answer: 3. Gastric juice

Explanation: primary gastric juice contains Na+ in a concentration of 3-5 mEq/l makes it possible that the secreted volume originates from some sodium-containing compartment Ref Davidson 23rd edition pg 365